Osteomyelitis begins as an inflammation of
1. Cortical bone
2. Periosteum
3. Medullary bone
4. Periosteum and inner cortex

Correct answer: 3. Medullary bone